Lynching is:
1. Accidental hanging
2. Homicidal hanging
3. Accidental drowning
4. Homicidal drowning

Correct answer: 2. Homicidal hanging

Explanation: Ans. B i.e. Homicidal hanging Lynching is an extrajudicial execution carried out by a mob, often by hanging, but also by burning at the stake or shooting, in order to punish an alleged transgressor, or to intimidate, control, or otherwise manipulate a population of people.